Carcinoma tongue is most common at -
1. Lateral border
2. Dorsum
3. Posterior 1/3rd
4. Tip of tongue

Correct answer: 1. Lateral border

Explanation: Ans. is 'a' i.e., Lateral border o MC site is middle of lateral border or the ventral aspect.